If division of fertilized egg takes place in between 5-8 days. It would give rise to which kind of twin pregnancy:
1. Monochorionic/monoamniotic
2. Monochorionic/diamniotic
3. Dichorionic/ monoamniotic
4. Siamese twins

Correct answer: 2. Monochorionic/diamniotic

Explanation: Ans. B: Monochorionic/diamniotic Approximately 70% of monozygotic twins are monochorionic /diamniotic. If splitting occurs later (ie, 9-12 d after fertilization), monochorionic/ monoamniotic placentation occurs. Monochorionic/monoamniotic twins are rare; only 1% of monozygotic twins have this form of placentation. twins have a common placenta, with vascular communications between the 2 circulations. These twins can develop twin-to-twin transfusion syndrome (TTTS). If twinning occurs more than 12 days after fertilization, then the monozygotic fertilized ovum only partially splits resulting in conjoined twins.